What is false about emphysema?
1. Decreased FEV1
2. Decreased timed vital capacity
3. Increased residual volume
4. Increased diffusion capacity

Correct answer: 4. Increased diffusion capacity

Explanation: Increased diffusion capacity is seen in: Acute congestive heart failure Polycythemia Pulmonary hemorrhage / good pasture syndrome Asthma Decreased diffusion capacity is seen in: Pulmonary fibrosis Emphysema Pulmonary hypertension